In a blast injury, which of the following organ is most Vulnerable is
1. G.I tract
2. Lungs
3. Liver
4. Ear drum

Correct answer: 4. Ear drum

Explanation: Hollow organs which contain air are most vulnerble organs
Ear drum is most commonly injured.